Which is a contraindication to chemical cardioversion?
1. Heart rate faster than 150 beats per minute
2. Symptomatic palpitations
3. Hemodynamically stable Atrial flutter patient.
4. Hemodynamic instability

Correct answer: 4. Hemodynamic instability

Explanation: E.g. of chemical cardioversions Adenosine=PSVT Amiodarone= V.T Ibutilide= A. Fibrillation/A. Flutter Option A: No, it's not a C/I rather we'll use to suppress heart rate. Option B: No, it's not a C/I rather we'll use it to treat palpitations. Option C:No, its not a C/I rather chemical cardioversion is used in Atrial Flutter. Option D:If patient is Hemodynamically instable, one doesn't go for cardioversion.